A 68 -year-old male, known case of HTN is brought unconscious. Upon arrival, the patient is found to have a Blood Pressure of 245/142. You decide to assess the patient for end-organ damage. Which of the following investigations would be least useful?
1. Serum Creatinine
2. CT pulmonary angiogram
3. 12-lead ECG
4. Fundoscopy

Correct answer: 2. CT pulmonary angiogram

Explanation: Option A: S. creatinine use to assess kidney damage Option B: CT pulmonary Angiogram not useful which is done in Pulmonary sequestration or in P.E Option C: 12-Lead ECG=LVH Option D: Fundoscopy=Papilledema